Missing cases are detected by
1. Active surveillance
2. Passive surveillance
3. Sentinel surveillance
4. Prevalence rate

Correct answer: 3. Sentinel surveillance

Explanation: Sentinal surveillance is a method of identifying the missing cases and thereby supplementing the notified cases. Helps to estimate disease prevalence. Reporting bias minimized. Note: India is the 1st country to have Sentinal surveillance set up for follow up of cataract surgeries. Ref: Park's Textbook of Preventive and Social Medicine; 24th edition - Page no. 45